First dorsal interosseous muscle of hand is supplied by
1. Deep branch of ulnar nerve
2. Superficial branch of ulnar nerve
3. Median nerve
4. Radial nerve

Correct answer: 1. Deep branch of ulnar nerve

Explanation: Deep branch of ulnar nerve supplies all the 4 dorsal interossei muscles.Superficial branch of ulnar nerve supplies the palmaris brevis muscle.Median nerve supplies the muscles of thenar eminence.Radial nerve have no supply to any intrinsic muscle of hand.B D Chaurasia 7th edition Page no: 182